Which of the following is not the source of cytosolic NADPH
1. Malic enzyme
2. Isocitrate dehydrogenase
3. ATP citrate lyase
4. 6-phospho gluconate dehydrogenase

Correct answer: 3. ATP citrate lyase

Explanation: Sources of NADPH * Glucose-6-phosphate dehydrogenase in HMP SHUNT pathway (Glucose-6-phosphate - 6-phospho-glucono lactone) * 6-phospho gluconate dehydrogenase in HMPshunt pathway (6-phospho gluconate - 3-keto-6-phospho gluconate) * Cytoplasmic isocitrate dehydrogenase * Malic enzyme (malate to pyruvate). Ref:- Harper 30/e; pg num:- 197